Most common unfavourable sequelae of serial extraction:
1. Disto-axial inclination of canine
2. Residual space at the extraction site
3. Mesio-axial inclination of second premolar
4. Increase in overbite

Correct answer: 4. Increase in overbite

Explanation: Early extraction of the buccal teeth and uprighting of incisors can result in deepening of the bite. This can be corrected with bite plane.
Ref: textbook of orthodontics gowrishankar 2nd edition page 533